Quarter of postnatal mother death is caused by ?
1. Infection
2. Bleeding
3. Eclampsia
4. Anemia

Correct answer: 2. Bleeding

Explanation: Ans. is `b' i.e., Bleeding o 25% of maternal death are caused by severe bleeding, generally occuring post-partum.